Bioavailability of Ramelteon is ?
1. 2%
2. 7%
3. 10%
4. 30%

Correct answer: 1. 2%

Explanation: Ans. is 'a' i.e., 2% o The mean systemic availability following an oral dose is less than 2%